Kayser-Fleischer rings (KF rings) are seen in -
1. Pterygium
2. Hematochromatos is
3. Wilson's disease
4. Menke's kinked hair syndrome

Correct answer: 3. Wilson's disease